Not a feature of Hartnup's disease:
1. Pellagroid skin lesion
2. Cerebellar ataxia
3. Intellectual disability
4. Psychological disturbances

Correct answer: 3. Intellectual disability

Explanation: c. Intellectual disability(Ref: Nelson's 20/e p 636-642, Ghai 8/e p 653-655)Clinical features of Hartnup disease:Most children with Hartnup defect remain asymptomaticMajor clinical manifestation in symptomatic patient is cutaneous photosensitivity: pellagra-like rash on sun exposureSome patients may have intermittent ataxia & Psychological disturbances, but mental development is usually normal.